Which is the most common eating disorder?
1. Anorexia nervosa
2. Bulimia nervosa
3. Avoidant restriction food intake disorder
4. Binge eating disorder

Correct answer: 4. Binge eating disorder

Explanation: Most common eating disorder:Binge eating disorder > Bulimia Nervosa > Anorexia Nervosa Binge eating disorder It is the most common eating disorder Females > Males Person is over weight Binge eating is present butno compensation Impulsive & extroveed personality styles are linked to this disorder Treatment: CBT + SSRI